The clotting factor which is not increased in pregnancy:
1. Factor 2
2. Factor 7
3. Factor 10
4. Factor 11

Correct answer: 4. Factor 11

Explanation: Ans. is d, i.e. Factor 11Ref: Dutta Obs 9/e, p 48Pregnancy is a hypercoaguable state, all clotting factors increase in pregnancy except factor 11 and 13. Another frequently asked question is what happens to fibrinogen levels during pregnancy-since fibrinogen is clotting factor number 1 therefore it also increase in pregnancy.